Sub pubic angle is:
1. <65deg
2. 65-75deg
3. 85deg
4. 110-120deg

Correct answer: 3. 85deg

Explanation: (85deg) (92-Dutta 6th)Subpubic angle - it is formed by the approximation of the two descending pubic rami. In normal female pelvis, it measures 85deg.